The serine proteases are all except
1. Elastase
2. Chymotrypsin
3. Trypsin
4. Pepsin

Correct answer: 4. Pepsin

Explanation: They are enzymes with a serine residue at the active site and most of the proteolytic enzymes belong to this group, e.g. trypsin, chymotrypsin, clotting factors. Ref: DM Vasudevan, page no: 44